Calculate the prevalence if incidence is 2 cases per 1000 population per year and mean duration is 4 years -
1. 8 Cases per 1000 population
2. 2 Cases per 1000 population
3. 0.5 Cases per 1000 population
4. 32 Cases per 1000 population

Correct answer: 1. 8 Cases per 1000 population

Explanation: Ans. is 'a' i.e., 8 Cases per 100 population o Prevalence = 2 x 4 = 8 Causes per 1000 populations